Kuppuswami's classification is based on all except-
1. Income
2. Occupation
3. Education
4. Type of house

Correct answer: 4. Type of house

Explanation: Ans. is 'd' i.e., Type of house Kuppuswami index is an index for estimating socio-economic status. It is based upon: Education Occupation Income Type of house is not included in this index Residential address does form an index for socio economic status in another index by Holingshed in USA. This index includes three variables Education Occupation Residential address